Characteristic imaging findings in Alzheimer's disease?
1. Temporal lobe and parietal lobe atrophy
2. Temporal and occipital lobe atrophy
3. Frontal and parietal lobe atrophy
4. Parietal and occipital lobe atrophy

Correct answer: 1. Temporal lobe and parietal lobe atrophy

Explanation: Ans AThe 2 most specific findings of Alzeimer's disease on neuroimaging are mesial temporal lobe atrophy (especially hippocampus and Enterohinal cortex) and temporoparietal cortical atrophy.